Diarrhea with acanthocytosis is seen in
1. Whipple
2. Celiac sprue
3. Aggamaglobulinemia
4. Wolmans disease

Correct answer: 4. Wolmans disease

Explanation: Diarrhea with acanthocytes Seen in both wolman disease & abetalipoproteinemia * Wolman's disease : also called * Acid Cholesterol Ester Hydrolase Deficiency, Type 2 * LIPA Deficiency * LAL Deficiency * Rare autosomal recessive deficiency of lysosomal acid lipase activity causing accumulation of cholesterol and triglycerides throughout body tissues and death within first 6 mos) ref - harrisons internal medicine 20th pg2896,